Benefits under the Employees State Insurance scheme include all the following except -
1. Dependent's benefit
2. Funeral benefit
3. Dearness allowance
4. Rehabilitation Allowance

Correct answer: 3. Dearness allowance

Explanation: Benefits are medical benefits,sickness benefits,maternity benefits, disablement benefits, dependent's benefits, funeral benefits rehabilitation.(Ref.PARK'S textbook of preventive and social medicine 21st edition page no.757)